Which of the following is not an extrapyramidal tract -
1. Rubrospinal
2. Corticospinal
3. Reticulospinal
4. Vestibulospinal

Correct answer: 2. Corticospinal

Explanation: Ans. is 'b' i.e.. Corticospinal Descending pathwaysPyramidal tractExtrapyramidal tractso Corticospinal tracto Rubrospinal tract o Tectospinal tract o Vestibulospinal tract o Reticulospinal tract